All are methods of sterilization by dry heat except -
1. Flaming
2. Incineration
3. Hot air oven
4. Autoclaving

Correct answer: 4. Autoclaving

Explanation: Dry heat : Flaming, incineration, hot air REF:Ananthanarayan & paniker's textbook of Microbiology 9th edition page no 78